Which of the following Antihypertensive can cause "SLE like reaction"
1. Minoxidil
2. Hydralazine
3. Diazoxide
4. Fenoldopam.

Correct answer: 2. Hydralazine

Explanation: Hydralazine is metabolized by acetylation and it can cause "SLE like reaction".
.